. A neonate is seen crying with eyes closed and moving all his limbs. What is the Neonatal Behavioral response scale -
1. Scale 1
2. Scale 3
3. Scale 5
4. Scale 6

Correct answer: 4. Scale 6

Explanation: Scale 6 Neonatal behavior assessment scale It is a scale developed by T. Berry Brazelton for evaluating the neurological conditions and behavior of newborn by assessing his or her alertness, motor maturity, irritability and interaction with people. Scores SLEEP STATE I)Deep sleep: - Sleep with regular breathing, eyes closed, no spontaneous activity except startles or jerky movements at quite regular intervals. 2)Light sleep: - Sleep with eyes closed: rapid eye movements can often be observed under closed lids; low activity level with random movements and startles. AWAKE STATE 3)Drowsy: - Drowsy or semidozing; eyes may be open but dull and heavylidded, or closed, eyelids fluttering; activity level minimal, Movements are usually smooth, although there may be startles. "Some infants may also show fuss/ cry vocalizations in this state"Q. What distinguishes state 3 from state 5 when both are accompanied by fuss/ cry vocalizations is the minimal movement in state 3 and considerable movement in state 5 4)Quiescent alert: - Alert, eyes open with bright look. Motor activity is minimal there can be a glazed look that is easily changed into a brighter look with appropriate stimulation. 5)Active alert : - Eyes likely to be open; considerable motor activity, with thrusting movements of the extremities, and even a few spontaneous startles reactive to external stimulation with increase in startles or motor activity. 6)Crying:- Crying characterized by intense, loud, rhythmic, and sustained cry vocalizations that are difficult to break through with stimulation; motor activity is hige. Eyes may be tightly closed.